Length of trachea -
1. 10-12 cm
2. 1 cm -10 cm
3. 15 cm
4. 22.5 cm

Correct answer: 1. 10-12 cm

Explanation: Trachea is around 10-15cms.